Sodium nitroprusside infusion may result in –
1. Hypertension
2. Pulmonary oedema
3. Cyanide toxicity
4. Heart block

Correct answer: 3. Cyanide toxicity

Explanation: Sodium nitropruside has five cyanide groups with in its structure and Cyanide toxicity is a problem if it is used is in high doses.